Cafe cornoray commonly occurs when a person is -
1. Intoxicated
2. Eating fatty food
3. Eating fruits
4. Eating fish

Correct answer: 1. Intoxicated

Explanation: Ans. is 'a' i.e., Intoxicated o Cafe coronary7: It refers to accidental chocking by bolus of food obstructing larynx. Death is mostly due to asphyxia, or due to reflex cardiac arrest caused by stimulation of laryngeal nerve endings. It is common when gag reflex is suppressed, e.g. intoxicated individuals and following large doese of tranquilizers.